Which of the following is an exception of Courvoisier's law?
1. Double Impaction
2. Portal lymphadenopathy
3. Periampullary Carcinoma
4. None of the above

Correct answer: 1. Double Impaction

Explanation: Exceptions to courvoisier's Law Double impaction of stones i.e. one in the cystic duct and other in CBD. Oriental cholangiohepatitis Pancreatic calculus obstructing the ampulla of Vater Mucocele due to stone in the cystic duct